All the following are true in a Randomized control trial (RCT) except:
1. Baseline characteristics of intervention are similar in both arms
2. Investigator's bias is minimized by double blinding
3. The sample size required depends on the hypothesis
4. The dropouts from the trial should be excluded from the analysis

Correct answer: 4. The dropouts from the trial should be excluded from the analysis

Explanation: Intention to treat trial (ITT): Implies that the results of a RCT are unaffected by attrition (loss to follow up) or droupouts or changeover of study subjects from one group to another. The dropouts from the trial are not excluded from the analysis It provides information about the potential effects of treatment policy rather than on the potential effects of specific treatment